A 22 year old female was brought to OPD with loss of speech from 2 days after her husband has slapped her. On examination cough reflex and laryngeal reflex were normal. The most probable diagnosis:
1. Somatization disorder
2. Conversion disorder
3. Dissociative fugue
4. Depersonalization

Correct answer: 2. Conversion disorder

Explanation: Conversion disorder is characterized by symptoms produced due to unconscious conflicts in the mind, that arise after a stressful event.